All of the following are anti HIV agents except :
1. Ritonavir
2. Acyclovir
3. Didanosine
4. Zidovudine

Correct answer: 2. Acyclovir